The posterior tooth that gives a better support is:
1. With convergent roots
2. Divergent roots
3. Conical roots
4. Curved roots

Correct answer: 2. Divergent roots